Lumpy feeling in throat relieved on taking food is attributed to ?
1. Globus pharyngeus
2. Pharyngeal pouch
3. Diverticular disease
4. Esophageal atresia

Correct answer: 1. Globus pharyngeus

Explanation: Ans. is 'a' i.e., Globus Pharyngeus Globus Pharyngeus Symptom where in a patient describes something stuck in throat or a sensation of lump or tightness in throat which is relieved by taking food or talking.